Nasoantral Window to access maxillary sinus is done through?
1. Superior meatus of nose
2. Middle meatus of nose
3. Inferior meatus of nose
4. Canine Fossa

Correct answer: 3. Inferior meatus of nose